A 30 year old male patient presents with urethritis. All of the following can be the causative agent except-
1. Neisseria gonorrhoeae
2. Chlamydia trachomatis
3. Trichomonas vaginalis
4. Haemophilus ducreyi

Correct answer: 4. Haemophilus ducreyi

Explanation: Hemophilus ducreyi can cause genital ulcer but not urethritis